Vidian nerve is also called ?
1. Superior petrosal nerve
2. Greater petrosal nerve
3. Nerve to pterygoid canal
4. Auricular branch of vagus

Correct answer: 3. Nerve to pterygoid canal

Explanation: Greater petorsal nerve units with deep petrosal nerve to form nerve to pterygoid canal (also called vidian nerve).It carries secretomotor fibers to nasal gland pterygopalatine ganglion.Also knowAuricular branch of vagus is also called as Arnold's nerve or Alderman's nerve.